Parenteral nutrition is best given through -
1. Femoral vein
2. Saphenous vein
3. Subclavian vein
4. Cephalic vein

Correct answer: 3. Subclavian vein